Paraneoplastic syndrome associated with renal cell carcinoma are all of the following except -
1. Polycythemia
2. Hypercalcemia
3. Hypertension
4. acromegaly

Correct answer: 4. acromegaly

Explanation: A number of paraneoplastic syndromes due to ectopic hormone production by the renal cell carcinoma have been described. These include polycythemia(by erythropoietin), hypercalcemia(by parathyroid hormone and prostaglandins ), hypertension(by renin), effects of feminization or masculinization (by gonadotropins) and cushing's syndrome (by glucocorticoids), hepatic dysfunction, eosinophilia, leukemoid reactions, and amyloidosis. FromTextbook of pathology Harsh Mohan,6th edition, pg no:696; Pathologic basis of disease Robbins,8th edition, pg no:966